Leukemia associated with Disseminated Intravascular Coagulation  is:
1. Acute lymphocytic leukemia
2. Acute promyelocytic leukemia
3. Chronic myeloid leukemia
4. Chronic lymphoid leukemia

Correct answer: 2. Acute promyelocytic leukemia

Explanation: Major Disorders Associated With Disseminated Intravascular Coagulation (DIC)
Obstetric Complications 

Abruptio placentae
Retained dead fetus
Septic Abortion
Amniotic fluid embolism
Toxemia

Infections 

Sepsis (gram-negative and gram-positive)
Meningococcemia
Rocky Mountain spotted fever
Histoplasmosis
Aspergillosis 
Malaria

Neoplasms

Carcinomas of pancreas, prostate, lung and stomach
Acute promyelocytic leukemia

Massive Tissue Injury

Trauma
Burns
Extensive surgery

Miscellaneous

Acute intravascular hemolysis, snakebite, giant hemangioma, shock, heatstroke, vasculitis, aortic aneurysm, liver disease.

Robbins BASIC  PATHOLOGY T E N T H   E D I T I O N page no.487